In which of the following tumors alpha fetoprotein (AFP) is elevated?
1. Choriocarcinoma
2. Neuroblastoma
3. Hepatocellular carcinoma
4. Seminoma

Correct answer: 3. Hepatocellular carcinoma

Explanation: Serum elevations of alkaline phosphatase and alpha fetoprotein are common. An abnormal type of prothrombin, des-gamma-carboxy prothrombin, is made and correlates with AFP elevations.